Which of the following is a branch from the root of the brachial plexus?
1. Nerve to subclavius
2. Suprascapular nerve
3. Dorsal scapular nerve
4. Anterior thoracic nerve

Correct answer: 3. Dorsal scapular nerve